Safe yield of water source -
1. Adequate supply for 95% of the year
2. Adequate supply for 60% of the year
3. Adequate supply for 80% of the year
4. None

Correct answer: 1. Adequate supply for 95% of the year

Explanation: The safe yield is generally defined as the yield that is adequate for 95% of the year. The safe yield of the source must be sufficient to serve the population expected at the end of the design period which may be to 10 to 50 years in future. (PARK TB of social and preventive medicine pg 766 25th edition)